Elevated IgG and IgM antibody titers to parvovirus suggest a diagnosis of
1. Fifth disease
2. Susceptibility to chickenpox
3. Possible subacute sclerosing panencephalitis (SSPE)
4. Possible hepatitis B infection

Correct answer: 1. Fifth disease

Explanation: Fifth disease is a viral exanthem commonly seen in children 8 to 12 years old. Children are ill for a few days but recover without incident. Unfortunately, if a pregnant female acquires the disease in the first trimester of pregnancy, the fetus is at risk. The causative agent is thought to be a parvovirus (parvovirus B 19).